Symptom of sudden onset bilateral vocal cord palsy -
1. Dyspnea & Stridor
2. Hoarseness of voice
3. Asymptomatic
4. Bovine cough

Correct answer: 1. Dyspnea & Stridor

Explanation: Sudden onset of bilateral vocal cord paralysis produces respiratory obstruction with dysnea and stridor.